All the following are true about Japanese Encephalitis except -
1. Man to man transmission is not reported
2. Culex mosquito is the vector
3. 90%-100% mortality rate
4. There is no rash or local lesion

Correct answer: 3. 90%-100% mortality rate

Explanation: Ans. is 'c' i.e. 90% - 100% mortality rate o Case fatality rate of JE is 20-40% (not 90-100%). o Man is dead end host, there is no man to man transmission. o Culex mosquito is the vector. o There is no rash at the site of mosquito bite.